Which fruit juice helps in preventing UTI:
1. Grape
2. Raspberry
3. Cranberry
4. Orange

Correct answer: 3. Cranberry

Explanation: Ans. is 'c' i.e. Cranberry Cranberry juice has been traditionally used for the treatment and prophylaxis of urinary tract infection.Recent randomized controlled trials have demonstrated its utility in prophylaxis of UTIs but not for treatment.